"Russel sign" is
1. Hyperpigmented patch over nose
2. Development of callus over knuckles
3. Inverted tree shaped rash over the back
4. Loss of buckle pad of fat

Correct answer: 2. Development of callus over knuckles

Explanation: Development of callus over knuckles because of repeated episodes of purging is called "Russel sign".